The following is inhibitory agent in brain and spinal cord:
1. Glycine
2. Glutamine
3. Aspartate
4. NO

Correct answer: 1. Glycine

Explanation: Glycine